Which one of the following is not an antiretroviral drug :
1. Saquinavir
2. Ganciclovir
3. Indinavir
4. Atazanavir

Correct answer: 2. Ganciclovir